Botryomycosis is caused by:
1. Bacteria
2. Fungus
3. Virus
4. Protozoa

Correct answer: 1. Bacteria

Explanation: Botryomycosis - Botryomycosis is caused by Bacteria. S. aureus is the most common pathogen -hence the name " Botryo" = Cluster of grapes ( S. aureus grows in grape- like clusters on culture), "mycosis" = is a misnomer - not a fungal infection Nodular lesion which bursts to create chronic sinuses that discharge sulfur granules resembles mycetoma. Gram-positive organisms, particularly like S. aureus are usually involved, but Gram-negative organisms like Actinobacillus and Pseudomonas may also be implicated